Stain used for staining fungal elements –
1. Acid fast stain
2. Mucicarmic
3. Methenamine
4. Gram stain

Correct answer: 3. Methenamine

Explanation: For the demonstration of fungal elements in tissue sections following two stains are most commonly used -

i) Periodic acid Schiff (PAS)        
ii)  Methanamine silver